If posterior epistaxis cannot be controlled,which artery is kigated
1. posterior Ethmoidal artery
2. Maxillary artery
3. Sphenopalatine artery
4. External carotid artery

Correct answer: 3. Sphenopalatine artery

Explanation: ESPAL is the current ligation of choice controlling bleeding in over 90% of cases with a low complication rate. Sphenopalatine artery is ligated in the sphenopalatine foramen. Ref Scott Brown 7/e,Vol 2,p 1606.